Earliest phenotypic manifestation of Idiopathic hereditary hemochromatosis is -
1. Post prandial increase in serum iron concentration
2. Elevated serum ferritin level
3. Slate grey pigmentation of skin
4. Increased transferrin saturation

Correct answer: 4. Increased transferrin saturation